CA 19-9 is a marker for which of the following:
1. Pancreatic carcinoma
2. Breast carcinoma
3. Ovarian carcinoma
4. Lung carcinoma

Correct answer: 1. Pancreatic carcinoma

Explanation: Ans. A: Pancreatic carcinoma CA 19-9 is tumour marker for colon cancer and pancreatic cancer CA19-9/ Carbohydrate antigen 19-9/ Cancer antigen 19-9/ Sialylated Lewis (a) antigen It was discovered in patients with colon cancer and pancreatic cancer in 1981. Increased levels of CA19-9 are also found in non-malignant conditions, such as Mirizzi's syndrome and diseases of the bile ducts and liver. Guidelines from the American Society of Clinical Oncology discourage the use of CA19-9 as a test for cancer, particularly pancreatic cancer. The reason is that the test may be falsely normal (false negative) in many cases, or abnormally elevated in people who have no cancer at all (false positive). The main use of CA19-9 is therefore to see whether a pancreatic tumor is secreting it; if that is the case, then the levels should fall when the tumor is treated, and they may rise again if the disease recurs. In patients who lack the Lewis antigen (a blood type protein on red blood cells), which is about 5% of the population, CA19-9 is not elevated in pancreatic cancer even with large tumors because they have a deficiency of a fucosyltransferase enzyme that is needed to produce CA19-9 as well as the Lewis antigen